Multinucleated gient cell on Tzanck smear is not seen in?
1. Herpes simplex
2. Varicella
3. Herpes zoster
4. Molluscum contagiosum

Correct answer: 4. Molluscum contagiosum

Explanation: Ans. is'd'i.e., Molluscum contagiosum Ref: ADVL 3'd/e p' 342